Eutectic mixture of local anesthetic (EMLA) cream is -
1. Bupivacaine 2.0% + Prilocaine 2.5%
2. Lidocaine 2.5% + Prilocaine 2.5%
3. Lidocaine 2.5% + Prilocaine 5%
4. Bupivacaine 0.5% + Lidocaine 2.5%

Correct answer: 2. Lidocaine 2.5% + Prilocaine 2.5%